Which of the following is a poor prognostic factor in Acute Lymphoblastic Leukemia (ALL):
1. Hyperdiploidy
2. t (9; 22); t (4; 11)
3. 2-8 years of Age
4. WBC count < 50,000

Correct answer: 2. t (9; 22); t (4; 11)

Explanation: Unfavourable cytogenetics in ALL are Philadelphia chromosomes t(9;22) & t(4;11) Ref: CMDT 2008 Edition, Page 447